Inducing dose of Propofol in adults
1. 1 mg/kg
2. 2 mg/kg
3. 3 mg/kg
4. 5 mg/kg

Correct answer: 2. 2 mg/kg

Explanation: (B) 2 mg/kg > The dose of Propofol is 2-2.5 mg/kg for induction.> The lower dose should be used in the elderly.> The effective blood concentration for anaesthesia (ED 90 - the dose at which the effect is seen for 90% of patients) is 3.4 mg/mL when used with 67% nitrous oxide.> Sedation may be produced with a 0.2 mg/kg bolus dose intravenously or an infusion of 2 mg/kg/h, which produces a blood concentration of about 2 mg/mL.> Co-induction with either an opioid or midazolam enables the induction dose and initial target level for TCI to be reduced.> Myoclonic movements are common on induction, especially with slow injection. Emergence is more rapid than with thiopentc , with less 'hangover'.